It is a temperomandibular joint dysfunction with tinnitus, otalgia, headache,dizziness, burning tongue and throat:
1. Kostmann syndrome.
2. Costen syndrome.
3. Marfan syndrome.
4. Apert syndrome

Correct answer: 2. Costen syndrome.